The mode of inheritance of Incontinentia pigmenti is -
1. Autosomal dominant
2. Autosomal recessive
3. X-linked dominant
4. X-linked recessive

Correct answer: 3. X-linked dominant

Explanation: Ans- C X-linked dominant